Death may be attributed to Hanging in presence of
1. Ligature mark with petechial hemorrhages and ecchymoses into or around its substance
2. Tear of intima of carotid arteries and extravasation of blood
3. Congestion and hemorrhage in lymph nodes above and below the ligature mark
4. All of the above

Correct answer: 4. All of the above